Recruitment phenomenon is seen in?
1. Otosclerosis
2. Meniere's disease
3. Acoustic nerve schwannoma
4. Otitis media with effusion

Correct answer: 2. Meniere's disease

Explanation: Recruitment Phenomenon

It is a phenomenon of abnormal growth of loudness Q
The ear which does not hear low intensity sound begins to hear greater intensity sounds as loud or even louder than normal hearing ear.
Thus a loud sound which is tolerable in normal ear may grow to abnormal levels of loudness in the recruiting ear and thus become intolerable Q
Recruitment is typically seen in lesions of cochlea Q i.e. Meniere’s disease Q, presbycusis. Q
Patients with recruitment are poor candidates for hearing aids. Q